Emmenagogues are the drugs which
1. Cause uterine contraction
2. Increase menstrual blood flow
3. Increases sweating
4. Causes vomitting

Correct answer: 2. Increase menstrual blood flow

Explanation: Emmenagogues: These are drugs that initiate or increase menstrual flow, e.g., estrogen, borax, sanguinarine, savin, etc. Ref - Krishan Vij textbook of forensic medicine and toxicology 5e pg : 383